X-ray features of Hypoparathyroidism are the following except
1. Osteosclerosis
2. Calvarial thickening
3. Subperiosteal resorption
4. Subcutaneous calcification

Correct answer: 3. Subperiosteal resorption

Explanation: Ans. c (Subperiosteal resorption) (Ref RRM 6th/107)HYPOPARATHYROIDISM# Tetany = hypocalcemic neuromuscular excitability (numbness, cramps, carpopedal spasm, laryngeal stridor, general-ized convulsions)# Hypocalcemia + hyperphosphatemia# Normal/low serum alkaline phosphatase# Hypoplasia of tooth enamel + dentine; blunting of roots# Radiological features:- Premature closure of epiphyses- Generalized increase in bone density in 9%deg- Calvarial thickening0- Sacroiliac sclerosis- Bandlike density in metaphysis of long bones (25%), iliac crest, vertebral bodies- Thickened lamina dura (inner table) + widened diploe- Deformed hips with thickening + sclerosis of femoral head + acetabulum- Intracranial calcifications in basal ganglia, choroid plexus, occasionally in cerebellum- Calcification of spinal and other ligaments- Subcutaneous calcifications0- Ossification of muscle insertions- Ectopic bone formationHYPERPARATHYROIDISM:{Protrusio acetabuliOsteopenia (in primary)Osteosclerosis (in secondary)Loss of lamina duraSubperiosteal resorption (earliest - radial aspect of middle phalanges of 2/3 digits)Pepper-Pot skull & platyspondyli